Typical antidepressant drug is:
1. Amitriptyline
2. Clozapine
3. Olanzapine
4. Trazodone

Correct answer: 1. Amitriptyline

Explanation: Ans. A. AmitriptylineTypical antidepressant act via inhibiting the reuptake of serotonin and nor epinephrine. Drugs which comes under typical antidepressant are Tricyclic antidepressant, selective serotonin reuptake inhibitor, selective norepinephrine inhibitor and MAO inhibitor. Amitriptyline and imipramine is TCA. Venlafaxine and duloxetine is SNRI. Fluoxetine and duloxetine are SSRI.